Classification of partially edentulous arches
1. Should be universally accepted
2. Should serve as a guide to the type of design to be used
3. Should permit differentiation between tooth supported and tooth & tissue supported partial denture
4. All the above

Correct answer: 4. All the above